In Lepra reaction, drug useful is
1. Penicillin
2. Clofazamine
3. Dapsone
4. Rifamipicin

Correct answer: 2. Clofazamine

Explanation: Refer KDT 6/e p752 Anti inflammatory drugs are used in Lepra reaction Steroids ,Clofazimine and thalidomide can be used